In perinatal asphyxia, neurological damage can be predicted by:
1. Routine radiology
2. CT
3. MRI
4. USG

Correct answer: 3. MRI

Explanation: Ans. MRI